Kartagener's syndrome-Characteristic is -
1. Absence of cilia
2. Cilia undeveloped
3. Ultra structural abnormality of cilia
4. None of the above

Correct answer: 3. Ultra structural abnormality of cilia